Every TB sputum positive patient can infect up to:-
1. 1-2 persons per year
2. 5-6 persons per year
3. 10-15 persons per year
4. 100-200 persons per year

Correct answer: 3. 10-15 persons per year

Explanation: TB transmission: - Slow rise, then plateau phase, then slow fall is characteristic in India - propagative epidemic person - to person transmission. - Thus, Every TB sputum positive patient can infect up to 10-15 persons per year.